All of the following may lead to plaque formation except
1. Pityriasis rosea
2. Psoriasis
3. Pemphigus
4. Lichen planus

Correct answer: 3. Pemphigus

Explanation: Pemphigus vulgaris is a immunobullous disorder characterised by formation of flaccid blisters in skin and mucous membranes. other options lesions are characterised by papules and plaques. iadvl textbook of dermatology page 1088